Documentary evidence along with oral evidence is required:
1. Dying declaration
2. Postmortem report
3. DNA fingerprinting
4. Chemical examiner report

Correct answer: 2. Postmortem report

Explanation: Ans. Postmortem report